Most severe form of malignant malenoma is -
1. Superficially spreading
2. Nodular infiltrating type
3. Those arising in lower limb
4. Those in choroid

Correct answer: 2. Nodular infiltrating type